which of the following is wrong combination regarding adhesion molecules in cellular events
1. VCAM-CD106
2. ICAM- CD102
3. ICAM1- CD54
4. PECAM-CD64

Correct answer: 4. PECAM-CD64

Explanation: pecam ligand marks CD31 not CD 64 . ref : robbins 10th ed